A 7-month-old, partially immunized child presented with cough ending in characteristic whoop. Which of the following is considered the best type of specimen to isolate the organism and confirm the diagnosis?
1. Nasopharyngeal swab
2. Cough plate culture
3. Tracheal-aspirates
4. Sputum

Correct answer: 1. Nasopharyngeal swab

Explanation: Ans. is 'a' i.e., Nasopharyngeal swabRef: (Harrison, 19th/e, p. 1021 and Ananthanarayan, 9th/e, p. 333)Nasopharyngeal (NP) swabs or NP aspirates (best) using saline are the preferred specimens and it is cultured on Regan and Lowe medium (selective media). Swabs should be either dacron or rayon tipped and not calcium alginate, as it inhibits the polymerase chain reaction (PCR), nor cotton, as cotton kills the organisms.